Clomiphene citrate, apart from ovulation induction, can be tried for which of the following disorders?
1. Oligospermia
2. Erectile dysfunction
3. Asherman's syndrome
4. Carcinoma endometrium

Correct answer: 1. Oligospermia

Explanation: Clomiphene is thought to have effects on the hypothalamic axis which promotes gonadotropin release. Gonadotropin stimulates pituitary LH & FSH secretion which helps in testosterone production and hence in spermatogenesis. The drug is started at a dose of 25mg daily dose to increase the FSH. Usually given for a period of 3 months, the spermatogenesis cycle length. This regime is an 'OFF-Label" use in practice since its not yet universally accepted. However, its a frequent therapy given prior to going in for more elaborate and expensive treatment by IVF.